Sexual assault of child, hymen is not ruptured due to -
1. Deep seated
2. Underdeveloped
3. Too tough to rupture
4. Distensible

Correct answer: 1. Deep seated

Explanation: Ref: Synopsis of forensic medicine and toxicology (K.S.Narayan Reddy) 28th edition, page no.225 The hymen is deeply situated, and as the vagina is very small, it is impossible for penetration of adult organ to take place. Usually, the penis is placed either within the vulva or between the thighs. As such, the hymen is usually intact, and there may be little redness and tendernes of the vulva.